A major fraction of filtered potassium is absorbed in:
1. Collecting duct
2. Distal convoluted tubule
3. Proximal convoluted tubule
4. Thick ascending limb of loop of Henle

Correct answer: 3. Proximal convoluted tubule

Explanation: Potassium is filtered at the glomerulus, reabsorbed & secreted by tubules, and is excreted in urine. Of the total K+ ingested in the diet, 90-95% is excreted. PCT :reabsorbs about 67% of the filtered K+ under most conditions; 20% of the filtered K+ is reabsorbed by the LOH. The two most important physiologic regulators of K+ secretion Plasma Aldosterone. Other factors include a Flow rate of the tubular fluid, acid-base balance, glucocorticoids.